Guddu if I wear a old female was brought to the emergency with fever, headache and confusion. A provisional diagnosis of bacteria meningitis was made. The baby developed in severe allergic reaction to to penicillin around 6 months back. She was admitted and intravenous antibiotics we're started . Few days later her investuinvest revealed as Hemoglobin 6.0g/L Erythrocyte count 1.2x10^6/cubic mm Leukocyte count 1500/cubic mm Which of the following is the most likely drug responsible for the above finding
1. Gentamicin
2. Chloramphenicol
3. Doxycycline
4. Vancomycin

Correct answer: 2. Chloramphenicol

Explanation: (Ref:Katzul 11/e p803) The patient's shows decreased erythrocytes, leukocvtes, and platelets.This condition is called pancytopenia or aplastic anemia. It occurs due to suppression of stem cell function in the bone marrow. Chloramphenicol can cause both dose-dependent and dose-independent aplastic anemia.Dose-dependent aplastic anemia associated with chloramphenicol reversible after the medication is withdrawn. Dose-independent anemia is usually severe and may be fatal.